Which of the following is a quantitative defect in globin synthesis-
1. Thalassemia
2. Sickle cell hemoglobinopathy
3. G6PD deficiency
4. Diamond-Black fan syndrome

Correct answer: 1. Thalassemia

Explanation: Ans. is 'a' i.e., Thalassemiao Thalassemia is defined as a Quantitative defect in synthesis of structurally normal elobin chains.Sickle Cell Disease represents a qualitative defect in synthesis of globin chains (Structurally abnormal globin chains).# G6PD Deficiency and Diamond-Blackfan Syndrome (Pure Red Cell Aplasia) are not associated with quanitative or qualitative defects in globin chain synthesis